Composition of CARIDEX is:
1. Sodium hypochlorite
2. Glycine, aminobutyric acid
3. Sodium chloride, Sodium hydroxide
4. All of the above

Correct answer: 4. All of the above

Explanation: CARIDEX: It is a chemo-mechanical system of caries removal. It consists of 2 solutions. Solution 1 contains sodium hypochlorite and solution 2 contains Glycine, aminobutryic acid, sodium chloride and sodium hydroxide.